Paradoxical Aciduria is seen -
1. Congenital Hypertrophic Pyloric Stenosis
2. Duodenal Ulcer
3. Achalsia Cardia
4. Crohn's Disease

Correct answer: 1. Congenital Hypertrophic Pyloric Stenosis

Explanation: Ans. is 'a' i.e., Congenital Hypertrophic Pyloric Stenosis o Biochemical abnormality in congenital hypertrophic pyloric stenosis is a regular feature of AIIMS and AI examinations it has been repeated several times, o The biochemical abnormalities seen are:1. Hypokalemia2. Hypochloremia3. Alkalosis and4. Paradoxical aciduria